Satellite lesions in the cornea may be seen in
1. Viral corneal ulcer
2. Fungal corneal ulcer
3. Bacterial corneal ulcer
4. None of the above

Correct answer: 2. Fungal corneal ulcer

Explanation: MYCOTIC CORNEAL ULCER Etiology : The fungi which may cause corneal infections are: i. Filamentous fungi e.g., Aspergillus, Fusarium, and Penicillium. ii. Yeasts e.g., Candida and Cryptococcus. Clinical features: Signs: A typical fungal corneal ulcer has following salient features 1) Corneal ulcer is dry-looking, greyish white, with elevated rolled out margins. 2) Delicate feathery finger-like extensions are present into the surrounding stroma under the intact epithelium. 3) A sterile immune ring (yellow line of demarcation) may be present where fungal antigen and host antibodies meet. 4) Multiple, small satellite lesions may be present around the ulcer. Usually a big hypopyon is present even if the ulcer is very small. Unlike bacterial ulcer, the hypopyon may not be sterile as the fungi can penetrate into the anterior chamber without perforation. 5) Perforation in mycotic ulcer is rare but can occur. 6) Corneal vascularization is conspicuously absent. Ref:- A K KHURANA; pg num:-100,101